The key to occlusion is:
1. Maxillary permanent first molar
2. Maxillary permanent second molar
3. Maxillary primary first molar
4. Maxillary primary second molar

Correct answer: 1. Maxillary permanent first molar